Which of the following is the advantage of GLP - 1 analogues over sulphonyl ureas?
1. They can be given orally
2. They induce Insulin release at low glucose concentration.
3. They provide better glycemic control
4. These have lesser risk of precipitating hypoglycemia in normoglycemic patients.

Correct answer: 4. These have lesser risk of precipitating hypoglycemia in normoglycemic patients.

Explanation: As GLP - 1 is released during fed state .It has got little stimulatory effect on Insulin release at normoglycemic concertration,hence they have lower risk of precipitating hypoglycemia in normoglycemic patients.